Snow banking is seen in-
1. White coats disease
2. Eales disease
3. Diabetic nephropathy
4. Intermediate uveitis

Correct answer: 4. Intermediate uveitis

Explanation: Ans. 'd' i.e., Intermediate uveitis o Pars planitis (Intermediate uveitis) denotes the inflammation of pars plana part of the ciliary body and most peripheral part of the retina.o The most common symptom is floaters; defective vision may also occur.o Fundus examination in pars planitis reveals whitish exudates present near the ora serrata in the inferior quadrant,o These typical exudates are referred as snowball opacities.o These may coalesce to form a grey-white pique called snow banking.